3rd cranial nerve passes through:
1. Lateral part of superior orbital fissure.
2. Middle part of superior orbital fissure.
3. Medial part of superior orbital fissure.
4. Central part of superior orbital fissure.

Correct answer: 2. Middle part of superior orbital fissure.